Most important side effect of ethambutol is :
1. Hepatotoxicity
2. Renal toxicity
3. Peripheral neuropathy
4. Retrobulbar neuritis

Correct answer: 4. Retrobulbar neuritis